Anaesthetic effect of ether was demonstrated by?
1. Morgan
2. Priestly
3. Morton
4. None

Correct answer: 3. Morton

Explanation: Ans. is 'c' i.e., Morton Ether (Diethyl ether) Morton, a dentist and medical student at Boston, after experimenting on animals, gave a demonstration of ether anaesthesia, in 1846. It is highly volatile liquid, produces irritating vapours which are highly inflammable and explosive cautery should not be used. It is a potent anaesthetic with good analgesic and muscle relaxant property Ether has maximum muscle relaxant property among anaesthetics. It is highly soluble in blood-induction is prolonged and unpleasant with marked postoperative nausea and vomiting. BP and respiration are well maintained because of reflex stimulation and high sympathetic tone. o It can cause hyperglycemia- Contraindicated in diabetic. It is very cheap and relatively safe even in inexperienced hands.